Hand cutting instruments are composed of
1. Handle and blade
2. Handle, shank and blade
3. Shank and blade
4. Handle, shank and head

Correct answer: 2. Handle, shank and blade